Bright red blood in stools is suggestive of all except
1. Hemorrhoids
2. Gastric Ulcer
3. Fistula in Ano
4. Rectal cancer

Correct answer: 2. Gastric Ulcer

Explanation: Answer- B. Gastric UlcerCauses oflower gi bleed (bright red blood)DiveiculosisCA Colon/RectumAnal FissureAngiodysplasiaHemorrhoidsColonic PolypFistula in ano